Which is the most common complication of pathological myopia?
1. Glaucoma
2. Cataract
3. Haemorrhage
4. Retinal detachment

Correct answer: 4. Retinal detachment

Explanation: Ans. (d) Retinal detachmentMost common complication of myopia is macular degeneration, followed by rhegmatogenous retinal detachment."Retinal detachment is the most dreaded and one of the most common complications of myopia'. Duke -ElderMost common cause of rhegmatogenous retinal detachment is pathological myopia